Coarctation of aorta is associated with –
1. TAPVC
2. Bicuspid aortic valve
3. PDA
4. Nonc

Correct answer: 2. Bicuspid aortic valve

Explanation: coarctation of Aorta may occur as a solitary defect it is accompanied by -

Bicuspid aortic valve in 50% cases and may be associated with :-

Congenital Aortic stenosis, ASD, VSD, mitral regurgitation and Berry aneurysm of the circle of willis.